Atrial fibrillation may occur in all the following conditions, except?
1. Mitral stenosis
2. Hypothyroidism
3. Dilated cardiomyopathy
4. Mitral regurgitation

Correct answer: 2. Hypothyroidism

Explanation: Option A: MS -Trigger A. fibrillation. Option B: Hypothyroidism -Low voltage ECG, bradycardia, pericardial effusion. Option C: DCM -Damage to LA & RA - A. fibrillation Option D: MR- Leakage blood from LV to LA-trigger A. fibrillation.